The characteristic feature of medullary carcinoma:
1. Non follicular histological appearance.
2. Origin from parafollicular 'C' cells.
3. Its secretion of calcitonin.
4. All of the above.

Correct answer: 4. All of the above.